Testoesterone receptor antagonist is -
1. Flutamide
2. Mifipristone
3. Danazol
4. Nonoxynol

Correct answer: 1. Flutamide

Explanation: Ref - semantischolar.org